What is the partial pressure for oxygen in the alveolar air?
1. 116 mm Hg
2. 158 mm Hg
3. 100 mm Hg
4. 0.3 mm Hg

Correct answer: 3. 100 mm Hg

Explanation: Partial pressure of O2 in alveolar air (PA O2) - 100 mm Hg. Gaseous concentration & its partial pressure in alveoli: 1. Oxygen: Concentration & partial pressure controlled by, Rate of absorption of O2 into blood Rate of entry of new O2 into lungs by ventilatory process. Values: Partial pressure of O2 in inspired air (Pi O2) 158 mm Hg Partial pressure of O2 in alveolar air (PA O2) 100 mm Hg Calculated by "Alveolar gas equation". Partial pressure of O2 in expired air (PE O2) 116 mm Hg